Most common complication after intestinal transplantation is
1. Graft vs host disease
2. Sepsis
3. Intestinal necrosis
4. Intestinal obstruction

Correct answer: 2. Sepsis

Explanation: Sepsis is the MC complication of intestinal transplant.